Extremely low birth weight -
1. <1000
2. <1500
3. <2500
4. <2800

Correct answer: 1. <1000

Explanation: Ans. (a) <1000 gmRef : OP Ghai 8th ed./125* Normal birth weight - 2800 gm- 3000gm* Low birth weight(LBW) - < 2500 gm* Very low birth weight(VLBW) - < 1500 gm* Extremely low birth weight (ELBW) - < 1000 gm.